Stauffer syndrome is related to
1. Hepatocellular carcinoma
2. Carcinoma colon
3. Carcinoma breast
4. Renal cell carcinoma

Correct answer: 4. Renal cell carcinoma

Explanation: Nonmetastatic nephrogenic hepatic dysfunction syndrome (Stauffer's syndrome) is a unique paraneoplastic manifestation of renal cell carcinoma that is usually manifested as anicteric cholestasis.It is characterized by elevated alkaline phosphatase, erythrocyte sedimentation rate, a-2-globulin, and g-glutamyl transferase, thrombocytosis, prolongation of prothrombin time, and hepatosplenomegaly, in the absence of hepatic metastasis and jaundice.Renal Cell Carcinoma :Also known as Hypernephroma/Grawitz tumourRisk factors :Cigarette smoking (strongest association)Tuberous sclerosisVon Hippel Lindau syndromeAdult polycystic kidney diseaseAcquired cystic disease of kidney associated with end-stage renal disease